Testicular involvement wihtout epididymitis is a feature of-
1. Gonorrhoea
2. Syphilis
3. Tuberculosis
4. Granuloma inguinale

Correct answer: 2. Syphilis

Explanation: Ans. is 'b' i.e., Syphilis o Inflammations are distinctly more common in the epididymis than in the testis. o Of the three major specific inflammatory states gonorrhea and TB almost invaribly arise in the epididymis, whereas syphilis affects the testis first. o In many cases of syphilitic architis is not accompanied by epididymitis.--------- Robbins 1040. o Granuloma inguinal usually affects the external genital organs (not testis or epididymis).